All of the following are signs of chronic liver failure, Except:
1. Palmer erythema
2. Spider nevi
3. Testicular atrophy
4. Subcutaneous nodules

Correct answer: 4. Subcutaneous nodules

Explanation: Answer is D (Subcutaneous nodules): Subcutaneous nodules are generally not seen as stigmata of chronic liver disease. Chronic Liver Disease manifests with loss of subcutaneous fatty tissue resulting in paper thin skin with marked folds (paper-money skin).